Cofactor for lipoprotein lipase is
1. apo A-I
2. apo A-II
3. apo C-II
4. apo C-III

Correct answer: 3. apo C-II

Explanation: Both phospholipids and apo C-II are required as cofactors for lipoprotein lipase activity, while apo A-II and apo C-III act as inhibitors. Reference: Harper; 30th edition; Page no: 257